What is the type of joint between the ossicles of ear -
1. Fibrous joint
2. Primary cartilaginous
3. Secondary cartilaginous
4. Synovial joint

Correct answer: 4. Synovial joint

Explanation: Joints of the ossicles are synovial joints

The incudomalleolar joint is a saddle joint (variety of synovial joint)
Incudostapedial joint is a ball and socket joint (type of synovial joint)